What accumulates in tissues in hemochromatosis-
1. Iron
2. Copper
3. Ceruloplasmin
4. Lipofuschhin

Correct answer: 1. Iron

Explanation: Ans. is 'a' i.e., Iron o Hemochromatosis is characterized by the excessive accumulation of body iron, most of which is deposited in parenchymal organs such as liver and pancreas,o Hemochromatosis is a disorder of iron metabolism.o Characterized by a triad ofMicronodular cirrhosisDiabetes mellitusSkin pigmentationo Organ not showing iron deposition in hemochromatosisTestis